Which is the drug among the following that blocks the uptake of dopamine and norepinephrine into presynaptic nerve terminals and also blocks sodium channel in the axonal membrane
1. Epinephrine
2. Ephedrine
3. Cocaine
4. All of the above

Correct answer: 3. Cocaine

Explanation: It is a local anaesthetic agent (acts by inhibiting Na+channel in the axonal membrane) that also possesses indirect sympathomimetic activity.